A man is given continuous testosterone. It would lead to
1. Azoospermia
2. Increased sperm motility
3. Increased spermatogenesis
4. Increased gonadotrophins

Correct answer: 1. Azoospermia

Explanation: Testosterone the principal male sex hormone (androgen) that is produced by Leydig's cells of the testes in response to luteinizing hormone secreted by the pituitary gland. It is also produced by the adrenal cortex in both males and females. Its chief function is to stimulate the development of the male reproductive organs, including the prostate, and the secondary sexcharacters, such as the beard. It encourages growth of bone and muscle,Azoospermia is defined as the lack of spermatozoa in the semen. It may be caused by testicular dysfunction, cancer chemotherapy, or blockage of the tubules of the epididymis, or it may be induced by vasectomy.Ref: Ganong's review of medical physiology; 24th edition; page no:-419